Thyrocervical trunk is branch of which part of subclavian artery-
1. 1st
2. 2nd
3. 3rd
4. None

Correct answer: 1. 1st

Explanation: Ans. is 'a' i.e., 1st Branches of subclavian arteryFirst partVertebral arteryInternal thoracic arteryThyrocervical trunk ; Branches of thyrocervical trunk are :Inferior thyroid arterySuprascapular arterySuperficial cervicalSecond parto Costocervical trunk : It gives following branches :Deep cervical arterySuperior intercostal arteryThird parto Dorsal scapular artery.